Kerion is seen in -
1. Candida infection
2. Dermatophytosis of nails
3. Dermatophytosis of skin
4. Dermatophytosis Of scalp and hair

Correct answer: 4. Dermatophytosis Of scalp and hair

Explanation: DERMATOPHYTOSIS Infection caused by dermatophytes.Classified based on site of involvement.Tinea capitis- dermatophytosis infection of scalp and hair Kerion or inflammatory type of tinea capitis: kerion is a inflammatory boggy swelling , indurated tender swelling that is studded with broken ,unbroken hairs , vesicles and pustules. There is sinus formation thick crusting.heals with scarring. Causative organism trichophyton verrucosum and trichophyton mentagrophytes iadvl textbook of dermatology page 257